How long does it take for incipient caries to develop into clinically evident smooth surface caries?
1. 9 ± 6 months
2. 2 + 6 months
3. 18 + 6 months
4. 24 ± 6 months

Correct answer: 3. 18 + 6 months